A pregnant female presents with pain in abdomen on examination, tenderness is found in right lumbar region. TLC is 12000/cmm. and urine examination is normal.For diagnosis further test done is -->
1. Chest Xray with abdominal shield
2. ultrasound abdomin
3. Non contrast CT abdomin
4. Laproscopy

Correct answer: 2. ultrasound abdomin

Explanation: Ans. is 'b' ultrasound abdomen [Ref Love & Bailey 24/e p. 1211 (23rd/e p. 1084)Ultrasound is a useful diagnostic method in a pregnant female presenting with right iliac fossa pain to exclude tubal or ovarian disease